Brown color of contusion is due to:
1. Biliverdin
2. Reduced hemoglobin
3. Hemosiderin
4. Bilirubin

Correct answer: 3. Hemosiderin

Explanation: Ans. Hemosiderin